Contusion usually result from
1. Cut injury
2. Crush injury
3. Blunt trauma
4. Penetrating injury

Correct answer: 3. Blunt trauma